The second messengers cyclic AMP and cyclic GMP (REPEAT)
1. Activate the same signal transduction pathways
2. Are generated by the activation of cyclases
3. Activate the same protein kinase
4. Are important only in sensory transduction

Correct answer: 2. Are generated by the activation of cyclases